Stage IV a with thyroid cartilage invasion in larynegeal carcinoma is treated with
1. Radiotherapy
2. Hemilaryngectomy
3. Total laryngectomy
4. Total laryngectomy with radiotherapy

Correct answer: 4. Total laryngectomy with radiotherapy